Which of the following is the preferred local
anesthetic technique for hemophiliacs?
1. Nerve block
2. Supraperiosteal
3. Intraligamentary
4. Field block

Correct answer: 3. Intraligamentary